In concomitant squint -
1. Primary deviation > Secondary deviation
2. Scondary deviation > Primary deviation
3. Primary deviation = Secondary deviation
4. None

Correct answer: 3. Primary deviation = Secondary deviation

Explanation: Concomitant squint is a type of manifest squint in which the amount of deviation in the squinting eye remains constant(unaltered) in all the directions of gaze. Ref: A.K.Khurana ; 6th Edition; Page no :347